Avascular necrosis of head off the femur is most common in -
1. Subcapital #
2. Basal #
3. Fracture intertrochantric
4. Transcervical fracture

Correct answer: 1. Subcapital #

Explanation: AVN occurs after fracture at all three sites, but at different frequency.
Here the examiner is not asking about most common site of fracture which causes AVN and the question is of PGI Chandigarh, where more than one options can be correct.